The rk39 antigen is used in the diagnosis of:
1. Tuberculosis
2. Trypanosomiasis
3. Toxoplasmosis
4. Kala azar

Correct answer: 4. Kala azar

Explanation: Ans. D. Kala azara. k-39 antigen is a 39-amino acid residue encoded by a kinesin-related gene in the amastigotes of Leishmania causing Kala azar.b. Anti-k39 antibodies are secreted into various body fluids such as urine and sputum along with blood, and have been shown to be useful in the diagnosis of VL.c. Enzyme-linked immunosorbent assay (ELISA) and ICT assays use a recombinant rk39 antigen to detect these antibodies in serum in patients of Kala azar.